ACRTI-RADS scan for thyroid nodule characteristics include all except:
1. Margin
2. Echogenicity
3. Vascularity
4. Shape

Correct answer: 3. Vascularity

Explanation: Ans: (c) VascularityColl Radiol 2017 May, 14(5), Page 587-595ACR TI-RADS is a reporting system for thyroid nodules on ultrasound proposed by the American College of Radiology.It is based on the following characteristic of the lesion:CompositionEchogenicityShapeMarginEchogenic fociRecommendationsTR1: No FNAC requiredTR2: No FNAC requiredTR3: >=1.5 cm follow up, >=2.5 cm FNACFollow up: 1, 3 and 5 yearsTR4: >=1.0 cm follow up, >=1.5 cm FNACFollow up: 1,2,3 and 5 yearsTR5: >=0.5 cm follow up, >=1.0 cm FNACAnnual follow up for up to 5 years